Which one of the following is indicative of cardiac tamponade?
1. Pulsus paradoxus
2. Wide pulse pressure
3. Kussmaul's sign
4. Forceful apical. impulse

Correct answer: 1. Pulsus paradoxus